From the scheme given below, choose the appropriate
order of priorities in the management of a patient with polytrauma:
1. Control of external haemorrhage
2. Intravenous infusion and transfusion
3. Maintenance of patent airway
4. Relief of a tension pneumothorax.
5. Splinting of fractures.
1. 1,5,2,3,4
2. 3,4,1,2,5
3. 4,1,5,3,2
4. 2,1,5,3,4

Correct answer: 2. 3,4,1,2,5